Subepidermal blisters with granular deposits of IgA selectively localized to the tips of dermal papillae is a feature of-
1. Dermatitis herpetiformis
2. Pemphigus vulgaris
3. Lichen planus
4. Psoriasis vulgaris

Correct answer: 1. Dermatitis herpetiformis

Explanation: Histologically, the early lesions of dermatitis herpetiformis consist of neutrophilic micro-abscesses at the tips of papillae, producing separation or blister between the papillary dermis and the epidermis. The older blisters contain a fair number of eosinophils causing confusion with bullous pemphigoid. Direct immunofluorescence shows granular deposits of IgA at the papillary tips in dermatitis herpetiformis. Ref: Textbook of pathology by Harshmohan 6th edition page 777.